The stabbing nature of pain in trigeminal neuralgia mimics pain caused by
1. A cracked tooth
2. Acute reversible pulpitis
3. Acute irreversible pulpitis
4. Acute apical periodontitis

Correct answer: 1. A cracked tooth